Which of the following would distinguish hydrocephalus due to aqueductal stenosis when compared to that due to Dandy Walker malformation-
1. Third ventricle size
2. Posterior fossa volume
3. Lateral ventricular size
4. Head circumference

Correct answer: 2. Posterior fossa volume

Explanation: To under stand this question you are required to know the basics of CSF production and drainage.